Regarding muscle relaxants which one of the following is true :
1. Atracurium is contraindicated in renal failure
2. Pancuronium causes bradycardia
3. Cisatracurium  is a depolarizing muscle relaxant
4. Vecuronium induced muscle relaxation can be reversed by neostigmine

Correct answer: 4. Vecuronium induced muscle relaxation can be reversed by neostigmine